Most of the detoxification reactions are mainly carried out in:
1. Liver
2. Brain
3. Kidney
4. Spleen

Correct answer: 1. Liver

Explanation: Most of the detoxification reactions are mainly carried out in liver, as cytochrome P450 is found in liver in the highest concentration.